Removable appliances bring about:
1. Bodily movements
2. Translation
3. Tipping
4. Derotation

Correct answer: 3. Tipping